Sentinal node of gall bladder is
1. Virchow's nodes
2. Iris Iris nodes
3. Clouquet node
4. Lymphnode of lund

Correct answer: 4. Lymphnode of lund

Explanation: The lymphatic vessels of gallbladder(subserosal & submucosal)drain into the cystic lymph node of Lund(Fred Bates Lund)-Mascagni's node.This lies in the fork created by the junction of cystic duct and common hepatic duct.Efferent vessels from this node go to the hilum of liver and to coeliac lymph nodes. Virchow's node is located in left supraclavicular fossa.Clouquet node is located in the femoral canal. Reference:Bailey & Love's short practise of surgery,25 th edition,page no:1112.